The concentration of sodium ion in extracellular fluid is ___.
1. 10 mmol/L
2. 140 mmol/L
3. 25 mmol/L
4. 100 mmol/L

Correct answer: 2. 140 mmol/L